Saddle shaped nose is due to:
1. Depressed tip of nose
2. Depressed nasal dorsum
3. Depressed nasal bones
4. Destruction of ala of nose

Correct answer: 2. Depressed nasal dorsum

Explanation: Ans. B i.e. Depressed nasal dorsum